A swelling becomes more prominent at the root of the nose as child cry, most probable diagnosis is:
1. Meningocele
2. Stewart's granuloma
3. Wegner's granuloma
4. Aspergillosis

Correct answer: 1. Meningocele

Explanation: Ans. is 'a'i.e. Meningocele Meningocele and meningoencephalocele are different grades of the same basic pathology.Meningocele consists of only meninges with CSF whereas meningoencephalocele also contains brain matter.